Acute angle closure glaucoma
1. Colored haloes present
2. Flashes of light seen
3. Deep anterior chamber
4. All

Correct answer: 1. Colored haloes present

Explanation: A i.e. Colored haloes present